A 31-year-old female patient complains of B/L impairment of hearing for the past 5 years. Audio- gram shows a B/L conductive deafness. Impedance audiometry is given below. All constitute part of treatment except:
1. Hearing aid
2. Stapedectomy
3. Sodium fluoride
4. Gentamicin

Correct answer: 4. Gentamicin

Explanation: (d) Gentamicin(Ref. Cummings, 6th ed., 2213)The given tympanogram shows As type of curve and as per the description the diagnosis is clearly otosclerosis.Gentamicin is a vestibulotoxic drug given in Meniere's to relieve vertigo. It has no role in otosclerosis.